Posterior one-third of the tongue develops from:
1. Lingual swellings
2. Tuberculum impar
3. Hypobranchial eminence
4. Tongue bud

Correct answer: 3. Hypobranchial eminence

Explanation: Posterior one-third of the tongue develops from the cranial part of hypobranchial eminence (copula of His).